All of the following are true with respect to ligation of internal iliac artery except -
1. For hemostasis, anterior division is to be ligated
2. Collateral circulation is established later between middle sacral and lateral sacral arteries
3. Bleeding is always controlled with it
4. The artery should be ligated and not transected

Correct answer: 3. Bleeding is always controlled with it

Explanation: Ligation of one or both internal iliac arteries is done to contro hemorrhage from pelvic vessels. it is technically difficult and is onlt successfull in half of the time. The importance mechanism of iliac artery ligation is a 85% reduction in pulse pressure in the arteries distal to ligation.This converts an arterial pressure system into one with pressures approaching those in the venous circulation. this creates vessels more amenable to hemostasis pressure and clot formation. Reference: Wlliams text book of Obstetrics, 24th edition page no 820